The tarnished layer of silver amalgam consists of:
1. Sulphides of silver
2. Oxides of tin
3. Chlorides of tin
4. All of the above

Correct answer: 1. Sulphides of silver